Characteristic of anterior cranial fossa fracture:
1. Black eye
2. Pupillary dilatation
3. CSF otorrhea
4. Hemotympanum

Correct answer: 1. Black eye

Explanation: Ans. Black eye